A preschool child has a definite yellow pigmentation
of the primary teeth. Under ultraviolet light, the teeth
have a faint overall yellow-green autofluorescence.
The most likely diagnosis is
1. Amelogenesis imperfecta
2. Hypoplasia of the primary teeth
3. Pigmentation associated with Erythroblastic fetalis
4. Tetracycline pigmentation

Correct answer: 4. Tetracycline pigmentation